Predictive value indicating positive test in a screening modality is calculated by:
1. TP/TP+FP*100
2. TN/TN+FN *100
3. TP/TP+FN*100
4. TN/FP+TN*100

Correct answer: 1. TP/TP+FP*100

Explanation: Ans. (a) TP/TP+FP*100SENSITIVITYTP------TP+ FNx 100PREDICTIVE VALU OF A NEGATIVE TESTTN------TN+FNx 100SPECIFICITYTP------FP+ TNx 100% OF FALSE NEGATIVESFN------TP+ FNx 100PREDICTIVE VALU OF A POSITIVE TESTTP------TP+ FPx 100% OF FALSE POSITIVESTN------FP+ TNx 100